Food dependent Cushing's syndrome is a result of the aberrant expression of:
1. Gastric inhibitory polypeptide
2. Somatostatin
3. Substance P
4. Tachykinins

Correct answer: 1. Gastric inhibitory polypeptide

Explanation: Glucose dependent insulinotropic polypeptide-Gastric inhibitory peptide ( GIP) In adipocytes - augments triglyceride storage It play role in obesity and insulin resistance GIP receptors aberrantly expressed in adrenal cortex result in food dependent cushing syndrome. Ref: Sleisenger and Fordtran's, Edition-9, Page-8